A 30 year old man had road traffic accident and sustained fracture of femur. Two days later he developed sudden breathlessness. The most probable cause can be:
1. Pneumonia
2. Congestive heart failure
3. Bronchial asthma
4. Fat Embolism

Correct answer: 4. Fat Embolism

Explanation: Onset of breathlessness two days after fracture of long bone suggests the diagnosis of fat embolism. Ref: Greenberg's Text-Atlas of Emergency Medicine By Michael I. Greenberg, 2005, Page 672